A 15-year-old female presents with primary amenorrhea. Her breasts are normally developed but she has no axillary or public hair The most likely diagnosis is
1. turner's syndrome
2. Testicular feminization syndrome
3. Mullerian agenesis
4. Premature ovarian failure

Correct answer: 2. Testicular feminization syndrome

Explanation: Testicular feminizing syndrome

Genotype is 46XY, Phenotype is female
The gonads are testes often present in the inguinal canal. 
Gonads produce testosterone and Mullerian inhibiting substance, but because of androgen insensitivity at target organs, Patients have
Lack of axillary and pubic hair and normally developed breasts 
Absent uterus and upper vagina 
May have a blind pouch of lower vagina